Retinal tears seen most commonly seen in -
1. Primary retinal detachment
2. Secondary retinal detachment
3. Tractional retinal detachment
4. Exudative retinal detachment

Correct answer: 1. Primary retinal detachment

Explanation: Retinal tears are otherwise called as retinal detachment. Rhegmatogenous retinal detachment usually associated with a retinal break (hole or tear) through which subretinal fluid (SRF) seeps and separates the sensory retina from the pigmentary epithelium. This is the commonest type of retinal detachment. Ref khurana 6/e p299